Gibson’s murmur is a feature of
1. Patent Ductus arteriosus
2. Mitral Valve prolapse
3. Pulmonary regurgitation
4. Mitral regurgitation

Correct answer: 1. Patent Ductus arteriosus

Explanation: Continuous machinery murmur of PDA is also called Gibson’s murmur.